Which of the following disease causes Achalasia
1. Kala azar
2. Chaga's disease
3. KFD
4. Schistosomiasis

Correct answer: 2. Chaga's disease

Explanation: Answer- B. Chaga's diseaseAchalasia cardia is a motor disorder of the esophageal smooth muscle.Classical clinical symptom is progressive dysphagia for both solids and liquids. Dysphagia is worsened by emotional stress and hurried eating.Regurgitation and pulmonary aspiration occur because of retention of large volumes of saliva and ingested food in the esophagus.Esophagitis with ulceration may occur with chronic retention of food.Pain is infrequent in classical achlasia but a variant called vigrous achlasic is characterized by chest pain and esophageal spasms that generate non-propulsive high-pressure waves in the body ofthe esophagus.